Average fatal dose of croton oil seed is -
1. 500 drops
2. Hand ful of seeds
3. About 4 to 5 drops
4. 20 drops

Correct answer: 4. 20 drops

Explanation: Fatal dose of croton is 4-5 seeds or 1-2 ml (20 drops) of oil.